A 35 years old hypermetrope is using 1.50 D sphere both eyes. Whenever his glasses slip downward on his nose he will feel that his near vision:
1. Becomes enlarged
2. Becomes distorted
3. Becomes decreased
4. Remains the same

Correct answer: 1. Becomes enlarged

Explanation: The images will appear larger because of the convex lens. Ref: Ocular Anatomy and Physiology By Al Lens, Sheila Coyne Nemeth, Janice K. Ledford, 2007, Page 159